Treatment of choice for acute Kawasaki disease is -
1. Low molecular weight heparin
2. Aspirin
3. Intravenous immunoglobulin
4. Mycophenolate mofetil

Correct answer: 3. Intravenous immunoglobulin

Explanation: Ans. is 'c' i.e., Intravenous immunoglobulin * Treatment of choice for acute phase is intravenous immunoglobulin along with high dose of aspirin. For subacute phase low dose aspirin is given.